C5C6 nerve roots reflex is of which muscle -
1. Triceps
2. Biceps
3. Deltoid
4. None

Correct answer: 2. Biceps

Explanation: Ans. is 'b' i.e., Biceps ReflexRoot valueBiceps reflex (biceps jerk)C5 C6Supinator reflex (Supinator jerk)C5 C6Triceps reflex (Triceps jerk)C7 C8Knee jerkL3 L4Ankle jerkS1 s2